Chronic dystentery, abdominal pain, and rectal prolapse in children is caused by -
1. Enterobius vermicularis
2. Ascariasis
3. Trichuris trichura
4. Trichinella spiralis

Correct answer: 3. Trichuris trichura

Explanation: Infection with T.trichiura (trichuriasis. whipworm infection or trichocephaliasis) is asymptomatic except when the worm load is heavy. Disease may result either due to mechanical effects or allergic reaction. The worms lie threaded into the caecal mucosa and even though it is not a blood feeder, oozing of blood may occur at the sites of attachment. The blood loss is about 0.005 ml per worm per day. Over a period of time this may lead to anaemia and malnutrition. It has been suggested that mechanical blockage of the appendiceal lumen by masses of whipworms may cause acute appendicitis. In heavy infection, the worm may be abundant on the colonic mucosa, even upto the rectum. Mucus diarrhoea, chronic dysentery and abdominal pain are frequently seen in such cases. Some patients, particularly young children may develop rectal prolapse. REF:TEXTBOOK OF MEDICAL PARASITOLOGY;CKJ PANIKER;6TH EDITION;PAGE NO165